4 day old newborn baby having icterus involving sole, bilirubin level (mg/dl) ?
1. 12
2. 15
3. 8
4. 6

Correct answer: 2. 15

Explanation: Ans. is 'b' i.e., 15 mg Dermal staining of bilirubin? Described by kramer Jaundice progress in cephalocaudal direction Divided in 5 zone Zone Bilirubin 4-6 mg/dl Face 6-8 mg/dl Trun k & upper abdomen 8-12 mg/dl Lower abdomen & thign 12-14 mg/dl Arm & leg > 15 mg/dl Palm & sole